All of the following are histopathologic features of sympathetic ophthalmia except:
1. Necrosis
2. Giant cells located within the choroid
3. T lymphocytes
4. Eosinophils

Correct answer: 1. Necrosis

Explanation: Necrosis Necrosis is not generally seen in sympathetic ophthalmia. Lymphocytes, giant cells, and eosinophils are seen within the choroid. Some have stated that eosinophils may be seen in early disease, before granulomatous inflammation is present, although this is not, diagnostic.